All of the following statements regarding case control study are true, except
1. Used to find the relative risk
2. Odds ratio can be calculated
3. Relatively cheap
4. Used for rare diseases

Correct answer: 1. Used to find the relative risk

Explanation: Using case control study only odds ratio can be calculated. Incidence rates, relative risk and attributable risk can be calculated using cohort study. Case control study is inexpensive, easy to carry out, used to investigate rare diseases, used to identify risk factors, allows study of different etiological factors and is associated with minimal ethical problems. Reference: Parks Textbook of Preventive And Social Medicine 20th edition, page 70.